After postmortem exam body has to be handed over to investigation :
1. Investing police officer
2. Relative of victim
3. Magistrate
4. The civil authorities

Correct answer: 1. Investing police officer

Explanation: A i.e. Investigating officer